In a worker engaged in stone breaking with a chisel and hammer, the most common foreign body which can be lodged in his eye is:
1. Stone particle
2. Particle from the chisel
3. Piece from the hammer
4. All of the above

Correct answer: 2. Particle from the chisel

Explanation: Ans. Particle from the chisel